Lymphatic drainage of breast -
1. Axillary
2. Supraclavicular
3. Internal mammary
4. All

Correct answer: 4. All

Explanation: Ans: (a) Axillary; (b) Supraclavicular; (c) Internal mammary